The probing pressure applied by CPITN probe
1. 10 grams
2. 25 grams
3. 35 grams
4. 45 grams

Correct answer: 2. 25 grams